35 years male presents with a swelling in scrotum that is non tender and seperate from testes and on transillumination, chinese lantern pattern is seen diagnosis
1. Vaginal hydrocele
2. Inguinal harnia
3. Epididymal cyst
4. Varicocele

Correct answer: 3. Epididymal cyst

Explanation: Answer- C. Epididymal cystCysts of the epididymis (multiloculated epididymal cyst, spermatocele) are not swrounded by fluid and for this reason are felt as swellings above, behind the testis, which is also easily palpable in this situation.Because of the septation, multiloculated epididlmal cysts have a characteristic 'Chinese lantern' aPPearance on transillumination.